A 24-year-old man had been treated for gonorrhea 2 months previously. He developed an ulcerative lesion in the glands of the penis that is noted to be condylomata lata. The etiology of condylomata lata is which of the following?
1. Mixture of organisms
2. Hemophilus ducreyi
3. Herpesvirus hominis, type II
4. Treponema pallidum

Correct answer: 4. Treponema pallidum

Explanation: Condylomata lata are a manifestation of secondary syphilis. The treatment is intramuscular injection of penicillin. They are distinguished from condylomata acuminata; in that the latter are velvety and filiform in appearance and are result of infection with human papilloma virus (HPV).